Fluoride level in water shouldbe ____ mEq/L -
1. 0.1-0.6
2. 0.3-0.5
3. 0.5-0.8
4. 1.0-1.5

Correct answer: 3. 0.5-0.8

Explanation: Fluorine is the most abundant element in nature. Fluorine is essential for the normal mineralisation of bones and formation of dental enamel. Recommended level of fluoride in drinking water is 0.5 to 0.8 mg per litre. Excessive levels of fluorine results in dental fluorosis, skeletal fluorines, genu valgum. Recommended upper limit is 1.5mg/L. Park's Textbook of Preventive and Social Medicine, 25th edition, Page No. 682, 783